Erysipeloid is transmitted by which of the following route
1. Droplet
2. Mosquito bite
3. Fish
4. Feco-oral

Correct answer: 3. Fish

Explanation: Erysipeloid (Fish Handler's Disease) * Infection caused by Erysipelothrix rhusiopathiae through direct contact with infected meat, seen mainly in meat-handlers, fisherman or veterinarians. * Presents with painful red to purple patches over hands (finger webs often involved, sparing terminal phalanges) with sharply-marginated spreading edge, possible central clearing and/or hemorrhagic vesicles. * Systemic form with fever, arthralgias, widespreaed cutaneous lesions, possible sepsis and fatal endocarditis. Treatment:- Penicillin (if PCN allergy - erythromycin). Ref:- Sima Jain; pg num:-209